Clomiphene citrate used in initial treatment for most anovulatory infertile women is
1. Steroidal triphenylethylene derivative
2. Given on 7th day to 10th day after onset of spontaneous menses
3. Can be administered if no follicle is >20mm and endometrium is <5mm
4. Is oestrogen antagonist only

Correct answer: 3. Can be administered if no follicle is >20mm and endometrium is <5mm

Explanation: Clomiphene citrate is non-steroidal derivative given on 3rd to 5th day of cycle. It has both oestrogen agoinst and antagonist properties.